Ovarian tumour which is bilateral
1. >Dysgerminoma
2. >Endodermal sinus tumour.
3. >Immature teratoma
4. >Embryonal cell carcinoma

Correct answer: 1. >Dysgerminoma

Explanation: Dysgerminoma 10-15% of dysgerninomas are bilateral Dysgerminoma is the only germ cell malignancy that has this significant rate of bilaterily, other germ tumors are rarely being bilateral. Fewer than 5% of all ovarian tumours are germ cell in origin. They include : - Teratonia - Dysgerminoma - Endodermal sinus tumour (yolk sac tumour) - Embryonal carcinoma The unique characteristics of germ cell tumours are : - They generally occur in younger women - They display an unusual aggressive natural history and are commonly cured with less extensive nonsterlizing surgery and chemotherapy. The germ cell neoplasmas can be divided into three groups. (i) Benign tumour (usually dermoid cyst) (ii) Malignant tumours that arise from dermoid cyst (iii) Primitive malignant germ cell tumours including dysgerminoma, yolk sac tumours, immature teratomas embryonal carcinoma choriocarcinoma. Clinical features of malignant germ cell tumours - Malignant germ cell tumours are usually large - Bilateral disease is rare, except in dysgerminoma (10-15% are bilateral) - Abdominal or pelvic pain in young women is the usual presenting symptom. - Serum human chorionic gonadotropicin ((3-hCG) and a fetoprotein levels are useful in diagnosis and management. - Most of the malignant germ cell tumours are managed with chemotherapy after surgery. - Dysgerminoma is the ovarian counterpart of testicular carcinoma. The tumour is very sensitive to radiation therapy.